According to Wolffs law:
1. Human teeth drift mesially as interproximal wear occurs
2. Pressure causes bone resorption
3. The optimal level of force for moving teeth is 10 to 200 grams
4. Bone trabeculae Line up in response to mechanical stresses

Correct answer: 4. Bone trabeculae Line up in response to mechanical stresses